SNHL is seen in -
1. Nail patella syndrome
2. Distal RTA
3. Barter syndrome
4. All of the above

Correct answer: 4. All of the above

Explanation: Ans. is 'd' i.e.. All of the above Congenital causes of SNHL o Treacher collin syndrome o Alports syndrome o Pendred syndrome o Crouzon's disease o Bartter syndrome o Leopard syndrome o Refsum syndrome o Waardenburg syndrome o Fabry disease o Usher's syndrome o Hurler's syndrome o Klippel fed syndrome o Type 1 (distal) Renal tubular acidosis o Jervell & lange Neilson syndrome o Biotinase deficiency o Albinis o MELAS o Trisomy 13, 15, 21 o Michel's aplasia o Mondini's anomaly o Schibe's and Alexander's anomalies o Uhl's anomaly o Michel's aplasia o Nail - patella syndrome o Alstrom syndrome o Brachio - oto - renal (BOR) syndrome o Cockayne's syndrome